Earliest symptom of Tay sach disease
1. Exaggerated startle response
2. Bone deformation
3. Hepatomegaly
4. Excessive bleeding

Correct answer: 1. Exaggerated startle response

Explanation: Ans. is 'a' i.e., Exaggerated startle response Tay-Sach diseaseClinical symptoms are usually evident in the first year of lifeInitial signs are not dramatic and present as enfeeblement, spasticity and slow development.An exaggerated startle response to sound may be the most significant early sign of which a parent is aware.Other features are intellectual disability, deterioration of vision and early death.